Paraxial mesoderm contributes to the development of
1. Parietal peritoneum
2. Visceral peritoneum
3. Skeletal muscles
4. Peritoneal cavity

Correct answer: 3. Skeletal muscles

Explanation: HUMAN EMBRYOLOGY-INDERBIR SINGH TENTH EDITION-PAGE NO:62At first the cells of the paraxial mesoderm are homogenously arranged. later,the mesoderm gets segmentedThe segments are of two categories, somitomeres, and somitesOccipital somites form muscles of the tongue. somites form the axial skeleton, skeletal muscle, and part of the skin